Hepatitis B vaccination is given to a patient. His serum will reveal -
1. HBsAG
2. Anti-HBsAg
3. IgM Anti-HBcAg and HBsAg
4. IgM and IgG anti-HBcAg

Correct answer: 2. Anti-HBsAg

Explanation: Anti HBs is the protective antibody REF:ANANTHANARYANAN TEXTBOOK OF MICROBIOLOGY 9th EDITION PGNO.546